Contraindications to tranexamic acid in management of heavy menstrual bleeding are all except
1. Concurrent combined oral contraceptives use
2. Colour blindness
3. Disseminated intravascular coagulation
4. Intermenstrual bleeding

Correct answer: 4. Intermenstrual bleeding

Explanation: Intermenstrual bleeding is not a contraindication to use of tranexamic acid.